Half life of I 131 is: (Repeat)
1. 13 days
2. 8 days
3. 2 days
4. 12 hours

Correct answer: 2. 8 days

Explanation: Ans: B (8 days) Ref: Internet SourceExplanation:Refer JIPMER 2012 Radiology.